All of the following are useful in the management of acute asthma except :
1. Hydrocortisone intravenously
2. Salbutamol inhalation
3. Salmeterol inhalation
4. Terbutaline inhalation

Correct answer: 3. Salmeterol inhalation